Which of the following compound antagonizes the actions of insulin?
1. Neuropeptide Y
2. Growth hormone
3. Substance P
4. Vasoactive intestinal peptide

Correct answer: 2. Growth hormone

Explanation: Insulin is a peptide hormone, produced by beta cells of the pancreas, and is central to regulating carbohydrate and fat metabolism in the body. Insulin causes cells in the liver, skeletal muscles, and fat tissue to absorb glucose from the blood. In the liver and skeletal muscles, glucose is stored as glycogen, and in fat cells (adipocytes) it is stored as triglycerides.Neuropeptide Y (NPY) is a 36-amino acid neuropeptide that acts as a neurotransmitter in the brain and in the autonomic nervous system of humans; slight variations of the peptide are found in any other animals.Growth hormone (GH or HGH), also known as somatotropin is a peptide hormone that stimulates growth, cell reproduction and regeneration in humans and other animals.Vasoactive intestinal peptide is also known as the vasoactive intestinal polypeptide or VIP is a peptide hormone containing 28 amino acid residues. VIP is neuropeptide which belongs to a glucagon/secretin superfamily, the ligand of class II G protein-coupled receptors. VIP is produced in many tissues of vertebrates including the gut, pancreas and suprachiasmatic nuclei of the hypothalamus in the brain. VIP stimulates contractility in the heart, causes vasodilation, increases glycogenolysis, lowers arterial blood pressure and relaxes the smooth muscle of trachea, stomach, and gallbladder.Substance P-In the field of neuroscience, substance P (SP) is a neuropeptide - a substance that functions as a neurotransmitter and as a neuromodulator. Specifically, substance P is an undecapeptide - a peptide composed of a chain of 11 amino acid residues. It belongs to the tachykinin neuropeptide family.